Most common cranial nerve involved in sarcoidosis:
1. 3
2. 5
3. 7
4. 8

Correct answer: 3. 7

Explanation: Ans. C. 7* The most common cranial nerve involved in Sarcoidosis is the seventh nerve, which can be affected bilaterally.* Nerve biopsy can reveal non caseating granulomas infiltrating the endoneurium, perineurium, and epineurium along with lymphocytic necrotizing angiitis.* Neuro sarcoidosis may respond to treatment with glucocorticoids or other immunosuppressive agents.